Ropy discharge is seen in -
1. Trachoma
2. Vernal conjunctivitis
3. Corneal ulcer
4. Epidemickeratoconjunctivits

Correct answer: 2. Vernal conjunctivitis

Explanation: Ans. is 'b' i.e., Vernal conjunctivitis o Ropy (stringy) discharge is seen in vernal keratoconjunctivitis,Vernal kerato conjunctivitis (spring cattarrh)o Spring cattarrh is an allergic inflammation of conjunctiva w hich is characterized by recurrent, bilateral, interstitial, selflimiting conjunctivitis that becomes aggravated during spring and summer period.o It is considered to be Type I hypersensitivity reaction (immediate type) to exogenous allergens such as grass pollens.o It is more common in boys and affects age group 4-20 years,o More common in summer; hence the name spring catarrh looks a misnomer,o Recently it is being labeled as "Warm weather conjunctivitis f\Clinical features of spring catarrho Spring catarrh is characterized by marked itching& burning, Stringy (ropy) discharge, lacrimation, photophobia and heaviness of lids.o Clinically spring catarrh is divided into three types : -Palpebral form : - It is the most common types. The upper palpebral conjunctiva show s papillae (papillary hypertrophy with their characteristic appearance : - i) Lage & flat toped, ii) Cobble stone appearance (Pavement stone appearance). These papilla heal without scarring.Bulbar form : - It is characterized by (i) Dusky red triangular congestion of bulbar conjunctiva in palpebral area; ii) Gelatinous thickened accumulation of tissue around the limbus; iii ) Presence of discrete whitish raised dots along the limbus (Tranta's spot).Mixed form : - Both bulbar and palpebral manifestations occur together.Corneal signs (Vernal keratopathy)o Punctate epithelial keratitiso Ulcerative vernal keratitis : shallow transverse ulcer (Shield ulcer)o Vernal corneal plaqueso Subepithelial scarring